All of the following are components of APGAR score except:
1. Heart rate
2. Respiratory efforts
3. BP
4. Muscle tone

Correct answer: 3. BP

Explanation: Ans. C: BP This test is a screening tool to determine whether a newborn needs medical attention to stabilize the heart or breathing function. Examine the baby's: Breathing effort Heart rate Muscle tone Reflexes Skin color Each category is scored with 0, 1, or 2, depending on the observed condition. Breathing effort: - If the infant is not breathing, the respiratory score is 0. If the respirations are slow or irregular, the infant scores 1 for respiratory effort. - If the infant cries well, the respiratory score is 2. Heart rate is evaluated by stethoscope. This is the most important assessment: - If there is no heartbeat, the infant scores 0 for heart rate. - If heart rate is less than 100 beats per minute, the infant scores 1 for heart rate. - If heart rate is greater than 100 beats per minute, the infant scores 2 for heart rate. Muscle tone: - If muscles are loose and floppy, the infant scores 0 for muscle tone. - If there is some muscle tone, the infant scores 1. - If there is active motion, the infant scores 2 for muscle tone. Grimace response or reflex irritability is a term describing response to stimulation such as a mild pinch: - If there is no reaction, the infant scores 0 for reflex irritability. - If there is grimacing, the infant scores 1 for reflex irritability. - If there is grimacing and a cough, sneeze, or vigorous cry, the infant scores 2 for reflex irritability. Skin color: - If the skin color is pale blue, the infant scores 0 for color. - If the body is pink and the extremities are blue, the infant scores 1 for color.